All of the following are true about pyogenic granuloma except
1. Capillary hemangioma
2. Bleeding
3. Benign tumour
4. Bacterial infection

Correct answer: 4. Bacterial infection

Explanation: Pyogenic granuloma: Key points
• It is a benignQ tumor
• Type of capillary hemangiomaQ which it bleedsQ easily and is often ulcerated.
• Is a rapidly growing pedunculated red nodule on the skin, or gingival or oral mucosa;
• 1/3rd of the lesions develop after trauma
Also know that;
• Pregnancy tumor (granuloma gravidarum) is a pyogenic granuloma that occurs infrequently (1% of patients) in the gingiva of pregnant women.
• These lesions may spontaneously regress post pregnancy) or undergo fibrosis;
• Some cases require surgical excision
• Recurrence is rare.